All of the following are complications of streptokinase, Except:
1. Joint pain
2. Inctracranial bleed
3. Fever
4. Anaphylaxis

Correct answer: 1. Joint pain

Explanation: Answer is A (Joint Pain) Joint pain is not a recognized complication of streptokinase usage. Complication of streptokinase Hypersensitivity reaction and Anaphylaxis (specially when used second time) Haemorrhage (Intracranial bleed: Risk of stroke) Fever Hypotensin Arrhythmia